Commonest benign tumour of the esophagus
1. Leiomyoma
2. Papilloma
3. Adenoma
4. Hemangioma

Correct answer: 1. Leiomyoma

Explanation: Benign tumours of the oesophagus are unusual and constitute less than 1% of all oesophagal neoplasms. Approximately 60% of benign oesophagal lesions are leiomyomas, 20% are cysts, 5% are polyps, and the remaining 5% are other neoplasms.Ref: Sabiston 2oth edition pg:1047